Mazabraud's syndrome is:
1. Fibrous dysplasia + cafe au lait spots.
2. Fibrous dysplasia + intramuscular myxoma.
3. Fibrous dysplasia + peripheral neuritis.
4. None.

Correct answer: 2. Fibrous dysplasia + intramuscular myxoma.